All can he incinerated except-
1. Cytotoxic waste
2. Sharps
3. Anatomical waste
4. Infectious waste

Correct answer: 2. Sharps

Explanation: Ans. is 'b' i.e., Sharps o Incineration of waste sharp (category No-4) is not recommended. o The recommended method for treatment and disposal is disinfection by chemical treatment / autoclaving /microwaving and multilation / shredding.